CLO test is used for -
1. H. pylori
2. Brucella
3. Gonorrhoea
4. EBOLA

Correct answer: 1. H. pylori

Explanation: Answer- A. H. pyloriRapid urease test, also known as the CLO test (Campylobacter-like organism test), is a rapid diagnostic test for diagnosis of Helicobacter pylori.